Multiple painful ulcers on tongue are seen in all except
1. Aphthous ulcers
2. Tuberculous ulcers
3. Herpes ulcers
4. Carcinomatous ulcers

Correct answer: 4. Carcinomatous ulcers

Explanation: Carcinomatous ulcers are painless but may become painful in advanced stages, with extension into surrounding tissues.